Paget's disease of bone is a chronic disease of the
1. Prepubertal skeleton
2. Pubertal skeleton
3. Infantile skeleton
4. Adult skeleton

Correct answer: 4. Adult skeleton